Citrate to cis-aconitate conversion is inhibited by?
1. Malonate
2. Fluoride
3. Arsenite
4. Fluoroacetate

Correct answer: 4. Fluoroacetate

Explanation: Ans. is 'd' i.e., FluoroacetateConversion of citrate to cis-aconitate is a step of Kreb's cycle, catalyzed by Aconitase. Aconitase is inhibited by fluoroacetate.